Which one of the following tissues can metabolize glucose, fatty acids, and ketone bodies for ATP production:
1. Liver
2. Muscle
3. Brain
4. Red blood cells

Correct answer: 2. Muscle

Explanation: Muscles can use all i.e. glucose, fatty acids & ketone bodies. WITH REGARD TO OTHER OPTIONS: Liver (Option a) cannot use ketone bodies, because of deficiency of Thiophorase (first enzyme of ketone body utilization). Brain (Option c) cannot use F.A. because F.A. cannot cross BBB. RBCs (Option d) cannot use fatty acids & ketone bodies, because they lack mitochondria.